A cranial nerves carrying the pain sensations from tip of tongue is?
1. VI
2. V2
3. V3
4. VII

Correct answer: 3. V3

Explanation: V3